Uncommon cause of upper GI bleed -
1. Varices
2. Erosive gastritis
3. Peptic ulcer
4. Carcinoma stomach

Correct answer: 4. Carcinoma stomach